Increased BMR is associated with ?
1. Increased body fat store
2. Increased glycognenesis
3. Increased glycolysis
4. Increased lipogenesis

Correct answer: 3. Increased glycolysis

Explanation: Ans. is 'c' i.e., Increased glycolysisIncreased BMR is associated with hypermetabolic state which is characterized by :?A) Carbohydrate metablismi) | Glycolysisii) | Gluconeogenesisiii) | Glycogenesisiv) | GlycogenolysisB) Lipid metablismi) | Lipogenesisii) | Lipolysisiii) | Cholesterol Synthesisiv) | Triacylglycerol Synthesisv) | Lipoprotein degradationvi) | KetogenesisC) Protein metablismi) Increased protein degradationii) Decreased protein biosynthesis